Which of the following silver amalgam alloys have the maximum strength
1. Lathe cut
2. Spherical
3. Admixed
4. Single composition

Correct answer: 4. Single composition